What is hyperplasia?
1. Decrease in cell size
2. Increase in cell size
3. Increase in cell number
4. Decrease in cell number

Correct answer: 3. Increase in cell number

Explanation: Physiological adaptive responses include: * Hypertrophy - increase in cell size * Hyperplasia - increase in number of cells * Atrophy - decrease in cell size and number * Metaplasia - reversible replacement of one cell type by another differentiated cell type Hyperplasia is common in cells capable of replication namely labile cells / stable cells or stem cells Reference robbins page no 2.